The positioning of tongue in infantile swallowing is
1. Posterior
2. Medial
3. Lateral
4. Anterior

Correct answer: 4. Anterior